Drug of choice for choriocarcinoma is?
1. Nitrosourea
2. Gemcitabine
3. Methotrexate
4. Melphalan

Correct answer: 3. Methotrexate

Explanation: Ans. is 'c' i.e., Methotrexate